All of the following are true for metoclopramide except?
1. Chemically related to procainamide
2. Speeds gastric emptying
3. Stimulates chemoreceptor trigger zone
4. Blocks D2 receptors

Correct answer: 3. Stimulates chemoreceptor trigger zone

Explanation: Ans. is 'c' i.e., Stimulates chemoreceptor trigger zone Metoclopromide suppresses chemoreceptor trigger zone (CTZ) --> has antiemetic action.